The term stepping is associated with
1. Root canal preparation
2. direct gold condensation
3. Silver amalgam condensation
4. fracture mandible

Correct answer: 2. direct gold condensation